Umblicated nodules are produced by-
1. Poxvirus
2. Enterovirus
3. Rhinovinis
4. Myxovirus

Correct answer: 1. Poxvirus

Explanation: Nodules with central umblication is produced in molluscum contagiosum, caused by a Poxvirus.